Which of the following anti-HIV drug should never be given as re–challenge once history of producing allergic reaction with drug is known ?
1. Lamivudine
2. Abacavir
3. Zidovudine
4. Nelfinavir

Correct answer: 2. Abacavir